Transistional epithelium is present in
1. Renal pelvis
2. Loop of Henle
3. Terminal part of uretha
4. PCT

Correct answer: 1. Renal pelvis

Explanation: Inderbir Singh's Human Histology Seventh edition Pg 49 Transitional epithelium is found in renal pelvis and calyces, ureter, urinary bladder and part of urethra